Most common virus causing tumor in human ?
1. HSV
2. HPV
3. EBV
4. HTLV

Correct answer: 2. HPV

Explanation: Ans. is 'b' i.e., HPV Warts are the most common tumor caused by viruses.HPV is the cause of warts.